In an average population, the maximum bite force in the molar area is?
1. 100-200 N
2. 200-300 N
3. 500-700 N
4. 800-1000 N

Correct answer: 3. 500-700 N

Explanation: In an average population maximum bite force is as tabulated below:-